Consumer Protection Act was passed in
1. 1977
2. 1986
3. 1993
4. 1998

Correct answer: 2. 1986

Explanation: Ref: 25th Ed K.Park's Textbook Of Preventive and Social Medicine